Tinea faciei is
1. Infection of beard
2. Concentric lesion of skin
3. Infection of non - bearded area of face
4. Infection of beard & moustache area of face

Correct answer: 3. Infection of non - bearded area of face

Explanation: Tinea barbae - Infection of beard & moustache area of face.
Tinea faciei - Infection of non - bearded area of face.